Carcinoma cervix screening are all except-
1. PAP smear
2. Liquid based cytology
3. CT and MRI
4. Colposcopy

Correct answer: 3. CT and MRI

Explanation: Ans. is 'c' i.e., CT and MRI Investigations for Screening of carcinoma cervixo Pap smearo Endocervical scrap cytology by endoeervical brush or curettage,o HPV testing by hybridization or PCR.o Liquid based cytologyo Visual inspection of acetowhite areas (VIA)o Speculoscopvo Spectroscopyo Colposcopyo Cervicographyo Cone biopsyo AgNOR marker